First pubertal change seen in females:
1. Thelarche
2. Menarche
3. Pubarche
4. Gonadarche

Correct answer: 1. Thelarche

Explanation: Ans. Thelarche